Cardiopulmonary manifestation of hyperthyroidism-
1. Tachycardia
2. Sinus bradycardia
3. Cardiomegaly
4. Low output cardiac failure

Correct answer: 1. Tachycardia

Explanation: The most common cardiovascular manifestation is sinus tachycardia, often associated with palpitations, occasionally caused by supra- ventricular tachycardia. The high cardiac output produces a bounding pulse, widened pulse pressure, and an aortic systolic murmur and can lead to worsening of angina or heart failure in the elderly or those with preexisting heart disease. Atrial fibrillation is more common in patients >50 years of age. Reference : page 2294 Harrison's Principles of Internal Medicine 19th edition